The proximal retention grooves for anterior 3/4" crown are placed
1. Parallel to middle and incisal thirds
2. Parallel to long axis of tooth
3. Parallel to middle and cervical thirds
4. Parallel to cervical, middle and incisal thirds

Correct answer: 1. Parallel to middle and incisal thirds